All are motile except:
1. Klebsiella
2. E. coli
3. Salmonella
4. Proteus

Correct answer: 1. Klebsiella

Explanation: Ans: A (Klebsiella) Ref: Ananthanarayan, Paniker CJ. Textbook of microbiology. 8th Edition. London: John Wiley & Sons; 2009.Explanation:Commonly encountered motile and non-motile bacteriaMotileNon-motileMost Enierobacteriaceae except (Shigella and Klebsiella)Eg: Proteus, E. coli, SalmonellaShigellaViorio (darting motility)KlebsiellaListeria monocytogenes {tumbling motility) Clostridium tetani (stately motility) Spirochaetes (Cork-screw motility) Types of flagella:Peritrichous (flagella present all around) - Escherichia coli, Salmonella Monotrichous (Single polar flagellum) - Vibrio, PseudomonasLophotrichous (tuft of flagella at one pole) - HelicobacterAmphitrichous {one or more flagella at both poles) - Campylobacter